Keshan's disease due to deficiency of:
1. Selenium
2. Iron
3. Copper
4. Zinc

Correct answer: 1. Selenium

Explanation: Ans. a. SeleniumIMPORTANT MINERALS--FUNCTIONS AND DEFICIENCY MANIFESTATIONMineralFunctionsDeficiencyCobaltChromiumConstituent of Vit B12 Potentiate the action of InsulinMacrocytic anemia Impaired glucose toleranceFluorideIodineConstituent of Bone and teeth Thyroid hormone SynthesisDental cariesThyroid enlargement, T4|, cretinismMolybdenumCofactor for*. Xanthine oxidase*. Sulfite oxidase*. Aldehyde oxidaseSevere neurologic abnormality, xanthinuriaSeleniumCofactor for*. Glutathione peroxidase*. Deiodinase*. Thioredoxin reductase*. Antioxidant along with Vit. EKeshan's disease (cardiomyopathy), heart failure, striated muscle degenerationZincCofactor for*. Carbonic anhydrase*. Carboxypeptidase*. Lactate dehydrogenase*. Alcohol dehydrogenase*. Alkaline phosphateGrowth retardation, decrease taste and smell (dysaesthesia), alopecia, dermatitis, diarrhea, immune dysfunction, failure to thrive, gonadal atrophy, congenital malformation, impaired would healingManganeseCofactor for*. Arginase*. Carboxylase*. Kinase*. Enolase*. Glucosyltransferase*. Phospho gluco mutase*. Required for RNA polymeraseImpaired growth and skeletal development, reproduction, lipid and carbohydrate metabolism, upper body rash